Mainstay of treatment of glue ear:-
1. Radical Mastoidectomy
2. Myringotomy + aeration to middle ear
3. Temporal bone resection
4. Tonsillectomy & adenoidectomy

Correct answer: 2. Myringotomy + aeration to middle ear

Explanation: Glue ear: - Long standing collection of serous / mucoid fluid in the middle ear cavity.- CHL (25-30 DB)- B curve on Tympanometry Mainstay treatment of glue ear should be treat the cause, like if its adenoids or tumor so removing it would be the treatment. But the cause is not mentioned in the question. So the mainstay treatment should be myringotomy in the anterio-inferior quadrant with grommet tube insertion.Option A - Radical mastoidectomy is done in the case of unsafe cholesteatoma, removal of glomus tumor.Option C - temporal bone reaction en bloc removal is done in a cancer of middle ear.